Safety pin appearance is seen in ?
1. Vibrio vulnificus
2. Vibrio parahemolyticus
3. Pseudomonas aeuroginosa
4. H. influenzae

Correct answer: 2. Vibrio parahemolyticus

Explanation: Ans. is `b' i.e., Vibrio parahemolyticus Bipolar staining (safety pin appearance) Some bacteria display a safety pin appearance due to the accumulation of dye at the poles of the cells. This characteristic is called bipolar staining. Bacteria showing bipolar staining are? Calymmatobacter granulomatis (Donovani granulomatis) Vibrio parahemolyticus Pseudomonas mallei Yersinia pestis Pseudomonas pseudomallei H. ducreyi